Anterior interosseous nerve is a branch of which nerve
1. Radial
2. Ulnar
3. Median
4. Axillary

Correct answer: 3. Median

Explanation: Anterior interosseous branch of median nerve is given off in the upper part of forearm . It supplies the flexor pollicis longus , the lateral half of flexor digitorum profundus and pronator quadratus . The nerve also supplies distal radioulnar and wrist joint . B D Chaurasia 7th edition Page no : 114